Egg has all vitamins except –
1. B1
2. B6
3. C
4. E

Correct answer: 3. C

Explanation: Egg

Egg contains all nutrients except carbohydrate and vitamin C.
Egg proteins have all essential ammo acids needed by the body in right proportions → Egg protein is the standard against which the quality of other proteins are compared.
NPU of egg is 100.
Egg contains very high amount of cholesterol.